The infectious disease among following which closely resemble vasculitis is:
1. Lyme disease
2. Rubella
3. Tuberculosis
4. Leprosy

Correct answer: 1. Lyme disease

Explanation: Infectious diseases that mimic vasculitis are: Bacterial endocarditis Disseminated gonococcal infection Pulmonary histoplasmosis Coccidioidomycosis Syphilis Lyme disease Rocky Mountain spotted fever Whipple's disease Ref: Harrison, E-18, P-2787.